Which of  the  following is the most common  tumour  to produce metastasis to cervical lymph nodes?
1. Glottic carcinoma
2. Nasopharyngeal carcinoma
3. Carcinoma base of tongue
4. Carcinoma lip

Correct answer: 2. Nasopharyngeal carcinoma

Explanation: Cervical nodal metastases may be the only manifestation of nasopharyngeal cancer.
Nodal metastases are seen in 75% of the patients, when first seen, about half of them with bilateral nodes.
Distant metastases involve bone, lung, liver and other sites.